Most common infections after splenectomy are:
1. Uncapsulated bacteria
2. Capsulated bacteria
3. Gram-positive sepsis
4. Gram-negative bacteria

Correct answer: 2. Capsulated bacteria

Explanation: Overwhelming post splenectomy infection MC late(after 2-5 years) fatal complication of splenectomy After splenectomy, ability to filter and phagocytose bacteria, particularly encapsulated bacteria (Streptococcus pneumonia, Hemophilus influenza, Neisseria meningitides) and parasitized blood cells is lost. MC infection after splenectomy : Streptococcus pneumonia (50-90% cases) Neisseria meningitidis (Meningococcus) H. influenza type B Prevention- By vaccination Best time for vaccination 2 weeks before elective splenectomy * As early as possible after emergency splenectomy